Who has coined and developed the concept 'Theory of web of causation'?
1. Mc Mohan and Pugh
2. Pettenkoffer
3. John snow
4. Louis Pasteur

Correct answer: 1. Mc Mohan and Pugh

Explanation: "The web of causation theory was given by MC Mohan and Pugh". It is based upon the epidemiological triad of: Agent Host Environment Ref: Park's Textbook of Preventive and Social Medicine, 20 th edition, Page 32.